Vaginal sphincter is formed by all except -
1. Internal urethral sphincter
2. External urethral sphincter
3. Pubovaginalis
4. Bulbospongiosus

Correct answer: 1. Internal urethral sphincter

Explanation: Urogenital sphincters in Females
-        Vaginal sphincters

Bulbospongiosus
Sphincter urethrovaginalis
External urethral sphincter
Pubovaginalis

-        Urinary sphincters

Compressor urethrae
External urethral sphincter
Sphincter urethrovaginalis
Pubourethralis